The drug effective for treatment as well as prophylaxis of angina pectoris is:
1. Isosorbide dinitrate
2. Pentaerythritol tetranitrate
3. Diltiazem
4. Dipyridamole

Correct answer: 1. Isosorbide dinitrate

Explanation: Isosorbide dinitrate Can be used sublingually at the time of attack (peak in 5-8 min) Orally for chronic prophylaxis. t 1/2 is 40 min, but sustained release formulation may afford protection for 6-10 hours. Nitrates are effective in classical as well as variant angina. Nitrates increase exercise tolerance and postpone ECG changes of ischemia.